Creola bodies are seen in-
1. Bronchial asthma
2. Chronic bronchitis
3. Emphysema
4. Bronchiectatsis

Correct answer: 1. Bronchial asthma

Explanation: Ref:Textbook of pathology (Harsh mohan) 6th edition, page no.484 In Microscopy of asthmatic lung the following changes are observed; 1.The mucus plugs contain normal or degenerated respiratory epithelium forming twisted strips called Curschmann's spirals. 2.The sputum usually contains numerous eosinophils and diamond-shaped crystals derived from eosinophils called Charcot-Leyden crystals. 3.The bronchial wall shows thickened basement membrane of the bronchial epithelium, submucosal Diagrammatic appearance of Curschmann's spiral and Charcot-Leyden crystals found in mucus plugs in patients with bronchial asthma. oedema and inflammatory infiltrate consisting of lymphocytes and plasma cells with prominence of eosinophils. There is hypertrophy of submucosal glands as well as of the bronchial smooth muscle. 4.Changes of bronchitis and emphysema may supervene, especially in intrinsic asthma